The tensile strength of a bone is due to
1. Strands of collagen
2. Hydroxyapatite crystals
3. Periosteum
4. Metaphysis

Correct answer: 1. Strands of collagen

Explanation: Ans. is 'a' i.e., Stands of collagen o The strands of collagen give bone its tensile strength, and the interspersed crystals ofhydroxyapatite give bone its compressional strength. These effects are synergistic.o Bone components are:-1. Inorganic elements (65%)2. Organic matrix (35%)i) Inorganic elements : It is the mineral phase, principally composed of calcium and phosphate, mostly in the form of hydroxyapatite .ii) Organic maxtixo Organic matrix consists of cells of bones and protein of matrix. This unminerilized matrix is called osteoid, i.e. unminerilized bone is known as oteoid. Osteoid with mineral (i.e. mineralized osteoid) is complete bone.a. Protein of matrix: It is mainly formed by type I collagen and a family of noncollagenous proteins like osteocalcin and osteonectin that are derived mainly from osteoblasts.b. Cells of matrix: the cells of bone arei) Osteoblastsii) Osteoclastsiii) Osteocytes